Major portion of coronary blood flow occurs during:
1. Systole
2. Diastole
3. Not related to phases
4. It is variable

Correct answer: 2. Diastole